Anesthesia of choice in renal failure
1. Methoxy flurane
2. Isoflurane
3. Enflurane
4. None

Correct answer: 2. Isoflurane

Explanation: B i.e. Isoflurane